Which of the following is a characteristic of tetracycline stains?
1. There is less deposition in dentine as compared to enamel
2. Is always accompanied by hypoplastic defects
3. Stains are dark brown in color
4. Stained teeth fluoresce light yellow under U.V. light

Correct answer: 4. Stained teeth fluoresce light yellow under U.V. light